Metformin is used as a antihyperglycemic agent in DM, but there are some other uses for this drug. All the following are such uses of the drug, except:
1. PCOD
2. Non-alcoholic fatty liver disease
3. Alcoholic fatty liver disease
4. Metabolic abnormalities associated with HIV disease

Correct answer: 3. Alcoholic fatty liver disease

Explanation: Other uses of metformin: PCOD Impaired glucose tolerance Obesity Metabolic abnormalities associated with HIV disease Non alcoholic fatty liver disease Ref: Harrison, 18th Edition, Page 2995